While doing MMSE, maximum score is given to:
1. Orientation
2. Recall
3. Registration
4. Language

Correct answer: 1. Orientation

Explanation: MMSE( Mini Mental Status Examination) Also known as Folstein test Out of total 30 points, 10 points are given for orientation in MMSE. Screening test for dementia. A score of <24, suggests presence of dementia Cognition (Neuropsychiatric) Assessment higher mental functions is an important part of the MSE. MMSE( Mini Mental Status Examination)- Assess 5 cognitive functions Orientation- 10 points Registration - 3 points Recall - 3 points Attention& Concentration- 5 points Language- 9 points